Drug of choice for chemoprophrlaxis in meningococcal meningitis is -
1. Tetracycline
2. Rifampicin
3. Streptomycin
4. Erythromycin

Correct answer: 2. Rifampicin

Explanation: Ans. is 'b' i.e., Rifampicin Chemoprophvlaxis o Meningococcal meningitis is the only type of bacterial meningitis that occurs in epidemic form. o Close contacts of index case (such as other household member, infants in day-care centers, or military recrutis) are at increased risk for developing meningococcal disease. casual contacts such as schoolmates do not appear to be at increased risk. Chemoprophylaxis is indicated only for close contacts. Sulfonamides, once widely employed in chemoprophylaxis, should no longer be used for that purpose because approximately 25% of meningococcal isolates are now resistant to sulfonamide. o Rifampicin is the drug of choice to accomplish prophylaxis in close contacts. The recommended dose in adults is either 600 mg orally every 12 hours for 2 days or 600 mg orally once daily for 4 days (total 4 doses). o Other drugs for chemoprophylaxis are ceftriaxone, ciprofloxacin, Azithromycin, minocycline.